Best test to detect iron deficiency anemia in a community with low prevalence of iron deficiency is:
1. PCV
2. Iron binding capacity
3. Serum Iron
4. Serum ferritin

Correct answer: 4. Serum ferritin

Explanation: Ans. D i.e. Serum ferritin In the appropriate clinical setting, a smear showing hypochromia and microcytosis is adequate for the diagnosis. When more specific tests are needed, a positive diagnosis can be made from low levels of ferritin, and a low serum iron level in association with an elevated total iron binding capacity. Iron deficiency anemia (IDA): Commonest cause of anemia in India Increased iron absorption is seen in: Iron deficiency anemia, pregnancy, hypoxia, acidic pH of stomach, ferrous iron salts Causes of IDA: Hookworms, celiac sprue, carcinoma colon Features diagnostic of IDA: Decreased serum ferritin, increased TIBC Earliest sign of IDA: Decrease in serum ferritin Most sensitive and specific test for diagnosing IDA: Serum ferritin levels Hypochromia may be preceded by microcytosis